Which one of the following is rare site for metastasis?
1. Vertebrae
2. Skull
3. Pelvis
4. Forearm and leg bones

Correct answer: 4. Forearm and leg bones

Explanation: Ans. is 'd' i.e., Forearm and leg bones